ADHD in childhood can lead to which of the following disorder in future?
1. Schizophrenia
2. Alcoholism
3. Dissociative disorder
4. Intellectual disability

Correct answer: 2. Alcoholism

Explanation: ADHD can lead to substance abuse,mood disorders & antisocial personality disorder in the future.